Drug of choice for exo–erythrocytic stage of malaria is :
1. Chloroquine
2. Primaquine
3. Proguanil
4. Mefloquine

Correct answer: 2. Primaquine